Subjective test of hearing is
1. Pure tone audiometry
2. Otoacoustic emission
3. BERA
4. Impedance audiometry

Correct answer: 1. Pure tone audiometry

Explanation: Uses of Pure Tone Audiogram (a) It is a measure of threshold of hearing by air and bone conduction and thus the degree and type of hearing loss. (b) A record can be kept for future reference. (c) Audiogram is essential for prescription of hearing aid. (d) Helps to find degree of handicap for medicolegal purposes. (e) Helps to predict speech reception threshold. Ref : Dhingra 7e pg 25.